Splicing is done by:
1. tRNA
2. mRNA
3. snRNA
4. rRNA

Correct answer: 3. snRNA

Explanation: Splicing is done by snRNA Splicing Removal of introns Done by U1, U2, U4, U5 and U6 snRNA(small nuclear RNA). (U= Uracil)